Negri bodies are seen in:
1. Rabies
2. Small pox
3. Trachoma
4. Lymphogranuloma venerum

Correct answer: 1. Rabies